Isotretinoin is : a) A vitamin A analogue b) Used in cystic acne c) Safe in pregnancy d) Used in psoriasis e) Bony hyperostosis is a safe effect
1. ac
2. ad
3. abe
4. ade

Correct answer: 3. abe